A 25-year-old woman presented with primary amenorrhea, short stature, webbed neck, broad chest and widely spaced pages. Examination showed weak pulses in lower extremity and streak ovaries. Which of the following karyotype is most likely to be present?
1. 45,X/46,XX
2. 47XXY
3. 47 XXX
4. 47 XXY/48 XXXY

Correct answer: 1. 45,X/46,XX

Explanation: Ans-ANote-The diagnosis is Turner syndrome